Which of the following is the most common etiological agent in paranasal sinus mycoses?
1. Aspergillus spp
2. Histoplasma
3. Conidiobolus coronatus
4. Candida albicans

Correct answer: 1. Aspergillus spp

Explanation: Many different species of fungi are found to involve the paranasal sinuses, the more common being the Aspergillus, Alternaria, Mucor or Rhizopus. "Most common type of fungal infection of nose and parsnasal sinuses are due to Aspergillus, Aspergillus fumigatus, Aspergillus niger and Aspergillus flavus"